Sexual gratification is obtained by inflicting injuries to sexual partner in
1. Masochism
2. Sadism
3. Fetichism
4. Necrophilia

Correct answer: 2. Sadism

Explanation: Sadisim In sadism, the sexual gratification is obtained by inflicting injuries on the sexual partner. It is most commonly seen in men. To obtain sexual gratification, the sadist may bite , whip, beat, or produce cut injuries on the sexual partner Ref: FORENSIC MEDICINE AND TOXICOLOGY Dr PC IGNATIUS THIRD EDITION PAGE 312